Male breast cancer wrong statement is
1. BRCA2 is seen in 6% of cases
2. Lobular cancer is most common
3. Ductal carcinoma is most common type
4. Colloid carcinoma can be seen

Correct answer: 2. Lobular cancer is most common

Explanation: Invasive lobular carcinoma is a type of breast cancer that begins in the milk-producing glands (lobules) of the breast. Invasive cancer means thecancer cells have broken out of the lobule where they began and have the potential to spread to the lymph nodes and other areas of the body. Refer robbins 9/e 710